A farmer presented with confusion, increased salivation, fasiculations, miosis, tachycardia and hypertension. Poison that can cause these manifestations:
1. Opium
2. OPC
3. Dhatura
4. Arsenic

Correct answer: 2. OPC

Explanation: Ans. OPC